FIGLU excretion test is to estimate deficiency of
1. Vitamin K
2. Vitamin B12
3. Vitamin folic acid
4. Niacin

Correct answer: 3. Vitamin folic acid